Ringworm infection of hands is called as
1. Tinea corporis
2. Tinea pedis
3. Tinea unguium
4. Tinea Manuum

Correct answer: 4. Tinea Manuum

Explanation: T.corporis: infection of skin other than sclap, beard, face, hands feet & groin
T. Pedis: Infection of Feet
T. unguium: infection of Fingers
T. Manuum: infection of hands.